An aminoglycoside with an outstanding feature of being little or not affected by majority of inacti vating enzymes is-
1. Gentamycin
2. Tobramycin
3. Amikacin
4. Sisomycin

Correct answer: 3. Amikacin

Explanation: Ans. is 'c' i.e., Amikacin Amikacin has widest spectrum of activity amongst aminoglycosides as it has resistance to bacterial aminoglycoside inactivating enzymes.